Disadvantage of radioactive iodine include the following except:
1. Hypothyroidism
2. High chances of relapse
3. Delayed therapeutic effect
4. Development of thyroid carcinoma

Correct answer: 2. High chances of relapse

Explanation: Radioactive iodine emits beta particles that destroy some thyroid tissue and impair the ability of the remaining follicles to replicate; hence once the patient becomes euthyroid, chances of relapse are negligible. Though the amount of radioactive iodine to be administered is estimated by the size of the gland and its iodine uptake, about 40-60% of the patients may develop hypothyroidism. The beneficial effects take 3-4 weeks to become apparent. Neoplasms of the thyroid have been reported in children following treatment with it.